A 25 year old man presented with fever and cough, expectoration and breathlessness of 2 months duration. Contrast enhanced computed tomography of the chest showed bilateral upper lobe fibrotic lesions and mediastinum had enlarged necrotic nodes with peripheral rim enhancement. Which one of the following is the most probable diagnosis:
1. Sarcoidosis
2. Tuberculosis
3. Lymphoma
4. Silicosis

Correct answer: 2. Tuberculosis

Explanation: Answer is B (Tuberculosis) : Most common cause of necrotic lymph nodes with peripheral rim enhancement is Tuberculosis.